The binding of epinephrine or glucagon to the corresponding membrane receptor has which of the following effects on glycogen metabolism?
1. The net synthesis of glycogen is increased.
2. Glycogen phosphorylase is activated, while glycogen synthase is inactivated.
3. Glycogen phosphorylase is inactivated, while glycogen synthase is activated.
4. Both glycogen synthase and phosphorylase are activated.

Correct answer: 2. Glycogen phosphorylase is activated, while glycogen synthase is inactivated.

Explanation: Both epinephrine and glucagons result in activities which serve to increase (maintain) blood glucose. Activation of glycogen phosphorylase will result in glycogen degradation, ultimately providing a source of glucose. Glycogen synthase inhibition results in decreased synthesis of glycogen.